Which of the following sinuses is the first one to develop
1. Frontal
2. Maxillary
3. Sphenoid
4. Ethmoid

Correct answer: 2. Maxillary

Explanation: Maxillary sinus is first to develop. It appears as a shallow groove on the medial surface of maxilla during fourth month of intrauterine life, grows rapidly during six to seven years, and reaches full the eruption after all permanent teeth erupts.